Cotton's fracture is
1. Avulsion fracture of C7
2. Trimaoleolar
3. Bimalleolar
4. Burst fracture of atlas

Correct answer: 2. Trimaoleolar

Explanation: B i.e. Trimalleolar